World anti-tobacco day is celebrated on
1. 12th July
2. 5th June
3. 31st may
4. 24th November

Correct answer: 3. 31st may